Struther's ligament is another name for
1. Radial collateral ligament of Elbow joint
2. Ulnar collateral ligament of Elbow joint
3. Third head of Brachialis
4. Third head of Coracobrachialis

Correct answer: 4. Third head of Coracobrachialis

Explanation: Struther's ligament is another name for Third head of Coracobrachialis. Median nerve runs below the ligament and undergoes compression and leads to Struther's syndrome.